Which of the following drug used in asthma is not a branchodilator ?
1. Salbutamol
2. Beclomethasone
3. Theophylline
4. Ipratropium

Correct answer: 2. Beclomethasone

Explanation: Ans. is 'b' i.e., Beclomethasone